Renal transplantation is preferred in
1. Bilateral staghorn calculus
2. Bilateral hydronephrosis
3. Chronic glomerulonephritis
4. AKI

Correct answer: 3. Chronic glomerulonephritis

Explanation: Renal transplantation is the preferred treatment for many patients with end stage renal disease (ESRD), because it provides a better quality of life for them than dialysis. The most common causes of ESRD (in decreasing order) are: Diabetes mellitus Hypertension Glomerulonephritis Ref : Cambell's Urology 8/e p346